In dermatophytosis, which antifungal drug is not indicated:
1. Fluconazole
2. Terbinafine
3. Griseofulvin
4. Amphotericin B

Correct answer: 4. Amphotericin B

Explanation: Various combinations of systemic antifungals that are in vogue for treating chronic or recalcitrant dermatophytosis are as follows: Fluconazole/itraconazole + terbinafine. Griseofulvin + terbinafine. Griseofulvin + fluconazole/itraconazole